All are transmitted by milk except -
1. Tuberculosis
2. Brucellosis
3. Q Fever
4. Leishmaniasis

Correct answer: 4. Leishmaniasis